All of the following are anti arrhythmic drugs except:
1. Lidocaine
2. Enalapril
3. Atenolol
4. Sotalol

Correct answer: 2. Enalapril